What percentage of the blood flow to the liver is supplied by the hepatic artery -
1. 90%
2. 20%
3. 40%
4. 60%

Correct answer: 2. 20%

Explanation: Ans. is 'b' i.e., 20 %